Winging of the scapula is due to injury to:
1. Nerve supplying serratus anterior
2. Pectoral nerve
3. Subscapular nerve
4. Ulnar nerve

Correct answer: 1. Nerve supplying serratus anterior

Explanation: Nerve supplying serratus anterior